Severity of spreading of plague is detected by
1. Cheopis index
2. Total Flea index
3. Burrow's index
4. Chandler's index

Correct answer: 1. Cheopis index

Explanation: Cheopis index:- It is average number of X. Cheopis / rat.